In the Forrest classification for bleeding peptic ulcer with a visible vessel or pigmented protuberance is classified as -
1. FI
2. FII a
3. FII b
4. FII c

Correct answer: 2. FII a